Which of the following enzymes, requires Biotin as the coenzyme?
1. Pyruvate Dehydrogenase
2. Pyruvate Kinase
3. Pyruvate Carboxylase
4. PEP Carboxy Kinase

Correct answer: 3. Pyruvate Carboxylase

Explanation: Biotin is a coenzyme in carboxylation reactions, in which it serves as a carrier of activated carbon dioxide.